Spinal cord in adults terminates at which level of vertebrae?
1. Upper border of L1
2. Upper border of L3
3. Lower border of L1
4. Lower border of L3

Correct answer: 3. Lower border of L1

Explanation: Spinal cord in adults terminates at the lower border of the L1 vertebra. In children , it usually terminates at the upper border of the L3 vertebra. Structure/ Space Terminal extent Spinal cord at birth L3 upper border Spinal cord at 2 years L1 lower border Adult spinal cord L1 lower border Filum terminale 1st coccygeal segment Filum terminale internum, Dural sac S2 lower border Filum terminale externum 1st coccygeal segment Piameter 1st coccygeal segment Subarachnoid sheath and space, subdural space S2 lower border Cervical enlargement C3-T2 spinal segments Lumbar enlargement L1-S3 spinal segments Ref: Snell's Clinical Neuroanatomy 8th edition Pgno: 136